Which of the following statements is true about zinc supplementation in childhood diarrhea?
1. 10 mg/day in children <6 months; 20 mg/day in children >6 months
2. 5 mg/day in children <6 months; 10 mg/day in children >6 months
3. 20 mg/day in children <6 months; 30 mg/day in children >6 months
4. None of these

Correct answer: 1. 10 mg/day in children <6 months; 20 mg/day in children >6 months

Explanation: Ans. A. 10mg/day in children <6 months; 20mg/day in children >6 monthsOral zinc supplementation is recommended in all children with acute diarrhea. It should be given at a dose of 10mg/day in children <6 months; and 20mg/day in children >6 months for a total duration of 14 days.